Laughing gas is ?
1. N2O
2. Lewisite
3. H2S
4. CO2

Correct answer: 1. N2O

Explanation: Ans. is 'a' i.e., N2O